Transverse root fracture Healing can be done by :
1. Union of segments with hard tissue.
2. Bony ingrowth across the fracture line.
3. Interposition of connective tissue or fibrous tissue.
4. All of the Above.

Correct answer: 4. All of the Above.

Explanation: Healing of Root Fracture
According to Andreasen and Hjorting-Hanson, transverse root fracture healing can be done by any one of the following ways:

Union of segments with hard tissue
Interposition of connective tissue or fibrous tissue (periodontal ligament)
Bony ingrowth across the fracture line
Non-union with associated interposition of granulation tissue.